The organism which can invade the intact corneal epithelium and produce purulent corneal ulcer is:
1. Neisseria meningitidis
2. Pseudomonas pyocyanea
3. Pneumococcus
4. Streptococcus haemolyticus

Correct answer: 1. Neisseria meningitidis

Explanation: Ans. Neisseria meningitidis